Which of the following combination of iron can be given both IM and IV
1. Iron dextran
2. Iron Sorbitol Citrate Solution
3. ferrous Sulphate
4. ferrous Humourate

Correct answer: 1. Iron dextran